Microaerophilic bacteria is:
1. Campylobacter
2. Vibrio cholera
3. Pseudomonas
4. Salmonella

Correct answer: 1. Campylobacter

Explanation: Ans. is 'a' i.e., CampylobacterRef:(Harrison, 19th/e, p. 1038; Ananthanarayan, 9th/e, p. 400)Microaerophilic bacteria - H. pylori, Campylobacter, B. burgdorferi and T. pallidum.